Most severe and persistent symptom for acute mountain sickness is:
1. Headche
2. Dizziness
3. Drowsiness
4. Cyanosis

Correct answer: 1. Headche

Explanation: Ans. A: HeadcheHeadaches are the primary symptom used to diagnose altitude sickness, although a headache is also a symptom of dehydration.A headache occurring at an altitude above 2,400 metres (8000 feet = 76 kPa), combined with any one or more of the following symptoms, may indicate altitude sickness:Lack of appetite, nausea, or vomitingFatigue or weaknessDizziness or light-headednessInsomniaPins and needlesShortness of breath upon exertion